Site of lesion in endocarditis of rheumatic heart disease -
1. Along lines of closure of valves
2. Free margin of valves
3. Both sides of valves
4. Valve cusps

Correct answer: 1. Along lines of closure of valves

Explanation: Ans. is 'a' i.e., Along lines of closure of valves